Drug with beta adrenergic blocking, with antioxidant, with calcium channel blocking, with alpha 1 antagonist activity is ?
1. Esmolol
2. Carvedilol
3. Nebivolol
4. Levobunolol

Correct answer: 2. Carvedilol

Explanation: Ans. is 'b' i.e., Carvedilol Carvedilol Carvedilol is a b1 + b2 + a1 adrenoceptor blocker with a : b blocking property of 1 : 9. It has antioxidant and antimitotic property. It produces peripheral vasodilation due to a-1 blockade as well as calcium channel blockade (direct effect). It is used in hypertension and angina. It is used as cardioprotective in CHF. t1/2 is 2-8 hrs. It is eliminated through liver and kidney. It causes orthostatic hypotension.